If a patient has a creatinine clearance of 90 ml/min, a urine flow rate of 1 ml/min, a plasma K+ concentration of 4 mEq/L, and a urine K+ concentration of 60 mEq/L, what is the approximate rate of K+ excretion?
1. 0.06 mEq/min
2. 0.30 mEq/min
3. 0.36 mEq/min
4. 3.6 mEq/min

Correct answer: 1. 0.06 mEq/min

Explanation: K+ excretion rate = (urine K+ concentration) x (urine flow rate) = (60 mEq/L) x (0.001 L/min) = 0.06 mEq/ min.